Apical cyst having a direct connection with apical foramen have been termed as
1. Residual
2. Bay
3. Paradental
4. Collateral

Correct answer: 2. Bay